LASER that can be used in treatment of ureteric calculi
1. CO2 laser
2. Nd-Yag
3. Holmium
4. All of the above

Correct answer: 3. Holmium